Reticulocytosis is NOT a feature of:
1. Paroxysmal nocturnal hemoglobinuria
2. Following acute bleeding
3. Hereditary spherocytosis
4. Anemia in CRF

Correct answer: 4. Anemia in CRF

Explanation: Answer is D (Anemia of chronic Renal Failure) Anemias of chronic renal failure and chronic disease are associated with low or normal reticulocyte counts. Elevated reticulocyle count is a feature of hyperproliferative anemias including PNH, hereditary spherocytosis and anemia after blood loss.